In secondary syphilis, true about rash is
1. Pruritic
2. Vesicular
3. Asymptomatic
4. Tender

Correct answer: 3. Asymptomatic

Explanation: C i.e. Asymptomatic